Hemolytic uremic syndrome is associated with all except
1. EHEC
2. Shigella
3. Campylobacter
4. Vibrio cholera

Correct answer: 4. Vibrio cholera

Explanation: Ans. is 'd' i.e. Vibrio cholera Infections associated with hemolytic uremic syndromeShigella dysenteriae type IEnterohemorrhagic E coliCampylobacter jejuniStreptococcus pneumoniaeHIVRememberThe organism responsible for diarrhoeal illness that precedes HUS varies according to the region.